In the reconstruction following excision of previously irradiated cheek cancer, the flap will be:
1. Local tongue
2. Cervical
3. Forehead
4. Pectoralis major myocutaneous

Correct answer: 4. Pectoralis major myocutaneous

Explanation: RECONSTRUCTION OF CHEEK: - For check reconstruction, mucosal flaps are used. - PMMC (pectoralis major myocutaneous) flap: Most widely used flap for head and neck reconstructionQ Males Females - Forehead flap based on anterior branch of superficial temporal artery can be used - Deltopectoral flap based on perforating branch of internal mammary artery is used.